Pharmacodynamics includes -
1. Drug elimination
2. Drug excretion
3. Drug absorption
4. Mechanism of action

Correct answer: 4. Mechanism of action

Explanation: Ans. is 'd' i.e., Mechanism of action Pharmacodynamics is the study dealing with effect of drugs on body. It includes action of drugs as well as their mechanism. o Drug absorption, excretion and elimination are studied under pharmacokineties (option a, b & c).